Which apolipoprotein is responsible for Alzeihmers disease
1. APOE1
2. APOE2
3. APOE3
4. APOE4

Correct answer: 4. APOE4

Explanation: * Familial AD and Apo-E4 gene: There is an association between patients possessing the apo E4 allele and the incidence of Alzheimer disease. Apparently, apo E4 binds more avidly to beta-amyloid found in neuritic plaques. * Genes identified with AD are that coding for APP, presenilin-1 (chromosome 14), presenilin-2 (chromosome 1) or AD3 (chromosome 14) or AD4 (chromosome 1), and Apo-E4 gene (chromosome 19). * The presence of Apo-E4 gene is the major risk factor for AD. Apo-E2 gene reduces the risk of AD. Ref:- Harper 30/e; pg num:- 275